Ketone bodies are all except
1. Acetoacetate
2. Acetone
3. b-hydroxy butyrate
4. Acetyl-CoA

Correct answer: 4. Acetyl-CoA

Explanation: Ketogenesis Acetoacetate is the primary ketone body while beta-hydroxybutyrate and acetone are secondary ketone bodies. They are synthesised exclusively by the liver mitochondria.Ref: DM Vasudevan - Textbook of Biochemistry, 6th edition, page no: 143